Tetracyclines ointment for mass prophylaxis
1. 1%
2. 0.10%
3. 0.50%
4. 5%

Correct answer: 1. 1%

Explanation: Tetracyclines:
These are broad-spectrum bacteriostatic agents with considerable action against both gram-positive and gram-negative organisms as well as some fungi, rickettsiae and chlamydiae.
This group includes tetracycline, chlortetracycline and oxytetracycline.